What is the cause of sickling of RBC in sickle cell disease?
1. Decreased Solubility
2. Decreased Stability
3. Altered Function
4. Altered 02 binding capacity

Correct answer: 1. Decreased Solubility

Explanation: In sickle cell disease glutamic acid is replaced by valine. The charge and location of this substitution cause HbS to be converted from a soluble state into a polymer when it undergoes structural changes that accompany release of oxygen. Hypoxia, acidosis, and hypertonicity facilitate polymer formation. The polymerization of hemoglobin cause the red cell to transform from a deformable, biconcave disk into a rigid, sickle shaped cell. Ref: Rudolph's Fundamentals of Pediatrics By Abraham M. Rudolph, Pages 528-30